Hemiplegia is most often caused by thrombosis of ?
1. Anteiror cerebral artery
2. Middle cerebral artery
3. Posterior cerebral artery
4. Basiliar artery

Correct answer: 2. Middle cerebral artery

Explanation: Ans. is 'b' i.e., Middle cerebral artery Middle Cerebral Artery Deep branches of the middle cerebral artery on the lenticulostriate branches supply the internal capsule (posterior limb). Motor tracts are densely packed in this region and hence occlusion of deep branches or lenticulostrials branches leads to Densse Hemiplegia/Pure motor Hemiplegia. Anterior choroidal artery supplies the posterior limb of internal capsule (and not anterior limb of internal capsule). Anterior chorodial artery arises from the internal carotid artery and supplies the posterior limb of internal capsule. The complete syndrome of anterior choroidal artery occlusion consists of contralateral hemiplegia hemianesthesia (hypoesthesia) and homonymous hemianopia Posterior Cerebral Artery The posterior cerebral artery supplies the midbrain, thalamus lateral geniculate bodies, posterior of chroid plexus, occipital lobes, inferior and medial aspect of the temporal lobe and posterior inferior areas of the parietal lobe Occlusion of the Posterior Cerebral Artery usually results in two common clinical syndrome depending on the areas involved P1 Syndrome P2 Syndrome Occlusion of the proximal segment ofPCA from its origin to its union withthe posterior communicating artery Occlusion of the distalsegment of PCA distal to the junction of PCA with theposterior communicating artery P1 syndrome present primarily withthe following signs P2 syndrome presents primarily withthe following signs Midbrain signs Temporal lobe signs Thalamic signs Subthalamic signs Occipital lobe signs